All of the following are affected in low radial nerve palsyexcept
1. Extensor carpi radialis longus
2. Extensor carpi radialis brevis
3. Finger extensors
4. Sensation on dorsum of hand

Correct answer: 1. Extensor carpi radialis longus

Explanation: A i.e. Extensor carpi adialis longus Extensor carpi radialis longus muscle is supplied by main trunk of radial nerve above the level of elbow jointQ; whereas extensor carpi radialis brevis, finger extensors (extensor indics, extensor digitorum, extensor digits minimi) are supplied by its posterior interosseous branch and sensation on dorsum of hand by superficial radial branch below the level of elbow joint.